Shortest acting calcium channel blocker ?
1. Verapami I
2. Amlodipine
3. Nimodipinc
4. Diltiazam

Correct answer: 3. Nimodipinc

Explanation: Ans. is 'c' i.e., Nimodipine Nimodipine is shortest acting CCB. -Katzung 10/1/2 - 191 Nimodipine selectively relaxes cerebral vasculature - can be used in subarachnoid haemmorrhage or ruptured congenital intracranial aneurism. Amlodipine is longest acting CCB. Amlodipine has maximum oral bioavailabilitv. Nisoldipine has minimum oral bioavailability.